Grand rapids & Muskegon study is based on
1. Field trial
2. Observational studies
3. Randomized controlled trials
4. Community trials

Correct answer: 4. Community trials